Most common route of spread of Hepatitis E is -
1. Sex
2. Feco-oral
3. Blood transfusion
4. IV injections

Correct answer: 2. Feco-oral

Explanation: HEV is transmittef by fecal oral route REF:
ANATHANARAYANAN MICROBIOLOGY NINTH EDITION PAGE.540